'Syndrome of apparent mineralocorticoid excess' is due to deficiency of
1. 11a--hydroxysteroid dehydrogenase
2. 11b--hydroxysteroid dehydrogenase
3. 12a--hydroxysteroid dehydrogenase
4. 12b--hydroxysteroid dehydrogenase

Correct answer: 2. 11b--hydroxysteroid dehydrogenase

Explanation: Syndrome of apparent mineralocorticoid excess is due to genetic deficiency of 11b-dehydrogenase-2, cause hypokalemia. Liddle's syndrome is caused by autosomal dominant gain-in-function mutations of ENaC subunits, cause hypokalemia. Loss of the transport functions of the thick ascending loop of Henle and distal convoluted tubule nephron segments causes hereditary hypokalemic alkalosis, Bartter's syndrome (BS) and Gitelman's syndrome (GS), respectively. Ref: Harrison 19e pg: 305